Baclofen is used in:-
1. Parkinsonism
2. Epilepsy
3. Spasticity
4. Stroke

Correct answer: 3. Spasticity

Explanation: GABAB (It is a G protein coupled receptor unlike GABAA, which is an ionotropic receptor) agonists like baclofen increase K+ conductance and can inhibit monosynaptic as well as polysynaptic reflexes. Baclofen is used to relieve spasticity in multiple sclerosis and spinal injuries. It is not useful in cerebral palsy.